Thalassemia is inherited as:
1. Autosomal dominant
2. Autosomal recessive
3. X-linked dominant
4. X-linked recessive

Correct answer: 2. Autosomal recessive

Explanation: Ans. B: Autosomal recessive Thalassemia is an inherited autosomal recessive blood disease. Some other autosomal recessive disorders: Cystic fibrosis Phenylketonuria Galactosemia Wilsons disease Sickle cell anemia Ehler-Danlos syndrome Friedreich ataxia